Age under which child is considered incapable of committing an offence is ?
1. 3 years
2. 7 years
3. 14 years
4. 18 years

Correct answer: 2. 7 years

Explanation: Ans. is 'b' i.e., 7 years